Which of the following is True regarding absence seizures?
1. Attack lasts for 60 to 90 seconds
2. Hyperventilation often precipitates an attack
3. Onset of disease in the first year of life
4. Attack followed by postictal confusion

Correct answer: 2. Hyperventilation often precipitates an attack

Explanation: b. Hyperventilation often precipitates an attack(Ref: Nelson's 20/e p 2831-2856, Ghai 8/e p 557-561)Typical absence seizuresUsually start at 5-8 yr of age; They do not have an aura, usually last for only a few seconds and are accompanied by eyelid flutter or upward rolling of eyes and simple automatisms like lip-smacking or picking at clothingAbsence seizures do not have a postictal periodQ and there is immediate resumption of what patient was doingHyperventilation for 3-5min can precipitate seizures & 3Hz spike-and-slow-wave dischargesEarly onset absence seizures (before the age of 4 yr) should trigger evaluation for glucose transporter defect.